Which of the following does not form the anterior triangle of neck?
1. Carotid triangle
2. Supraclavicular triangle
3. Digastric triangle
4. Muscular triangle

Correct answer: 2. Supraclavicular triangle

Explanation: Anterior triangle of the neck is bounded by the anterior median plane of the neck medially; sternocleidomastoid laterally; base of the mandible and the line joining the angle of mandible to the mastoid process, superiorly. The anterior triangle encloses four suprahyoid and four infrahyoid muscles and is subdivided by the digastric muscle and superior belly of omohyoid into;SubmentalDigastricCarotidMuscular triangle